All of the following are manifestations of congenital rubella, EXCEPT:
1. Deafness
2. Cataract
3. Cardiac defects
4. Hydrocephalus

Correct answer: 4. Hydrocephalus

Explanation: Damage to the fetus is most likely when maternal infection occurs during the first 2 months of pregnancy, although there is risk associated with infection up to 5 months. The classic triad for congenital rubella syndrome (CRS) is sensorineural deafness, eye abnormalities--especially retinopathy, cataract and microphthalmia, congenital heart disease--especially patent ductus arteriosus. Other manifestations of CRS may includes: Spleen, liver or bone marrow problems Intellectual disability Small head size (microcephaly) Eye defects Low birth weight Thrombocytopenic purpura (presents as a characteristic blueberry muffin rash) Hepatomegaly Micrognathia